Which of the following ACE inhibitor is NOT a prodrug?
1. Fosinopril
2. Enalapril
3. Ramipril
4. Lisinopril

Correct answer: 4. Lisinopril

Explanation: Captopril and lisinopril are not prodrugs among the ACE inhibitors. All the other drugs are prodrugs. A prodrug is a medication or compound that, after administration, is metabolized (i.e., converted within the body) into a pharmacologically active drug. Inactiveprodrugs are pharmacologically inactive medications that are metabolized into an active form within the body Ref: KD Tripathi 8th ed.